Which of the following is an obstructive lung disease -
1. Interstitial fibrosis
2. Obesity
3. Emphysema
4. Kyphosis

Correct answer: 3. Emphysema

Explanation: Diffuse pulmonary diseases are divided into two categories -
1. Obstructive disease (airway disease)
The obstructive disease is characterized by an increase in resistance to airflow owing to partial or complete obstruction at any level, from the trachea to the respiratory bronchioles.
Examples are chronic obstructive lung disease (COPD - Emphysema, bronchitis), bronchiectasis, and asthma.
2. Restrictive disease
The restrictive disease is characterized by reduced expansion of lung parenchyma, with decreased total lung capacity.
It may occur due to two types of disorders -
(i) Chest wall disorders in the presence of Normal lungs → Neuromuscular disorders, e.g. polio, severe obesity, pleural disease, kyphoscoliosis.
(ii) Interstitial and infiltrative diseases of lung → Pneumoconiosis, interstitial fibrosis.